Commonest site of extraintestinal amoebiasis is -
1. Brain
2. Liver
3. Spleen
4. Lungs

Correct answer: 2. Liver

Explanation: Some individuals with intestinal amoebiasis develop hepatic amoebiasis.Amoebic liver abscess is formed.It may occur in any part of the liver but is generally confined to posteriosuperior surface of the right lobe of liver(refer pgno:18 baveja 3 rd edition)